The main component of keratins in the stratum corneum is
1. Keratin polypeptide (68kD)
2. K19 Keratin polypeptide (40kD)
3. K12 Keratin polypeptide (40kD)
4. K1 keratin polypeptide (68kD)

Correct answer: 4. K1 keratin polypeptide (68kD)